True regarding beginning of superficial palmar arch:
1. At the level of proximal transverse crease of wrist
2. Below distal transverse crease of wrist
3. At the level of proximal palmar crease
4. At the distal border of thumb on palmar surface

Correct answer: 2. Below distal transverse crease of wrist

Explanation: Superficial palmar archThe superficial palmar arch is formed as the direct continuation of the ulnar artery beyond the flexor retinaculumThe proximal transverse crease lies at the level of wrist jointThe distal transverse crease corresponds to the proximal border of the flexor retinaculumThe most distal point of superficial palmar arch is situated at the level of the distal border of the fully extended thumb